The following constitutes approximately 75% of total immunoglobin in humans -
1. IgG
2. IgM
3. IgE
4. IgA

Correct answer: 1. IgG

Explanation: IgG is the main serum immunoglobulin consisting of 80% of the total. equally distributed between intravascular and extravascular compartments. The normal serum concentration of IgG is about 8-16 mg per ml. Reference : Anathanarayan & paniker's 9th edition, pg no: 96,